Dacrocytorhinostomy involves?
1. Opening up the terminal blocked end of nasolacrimal duct
2. Connecting the lacrimal sac to nose by breaking the medial wall
3. Complete excision of lacrimal
4. Insertion of drainage tube in the lacrimal sac

Correct answer: 2. Connecting the lacrimal sac to nose by breaking the medial wall

Explanation: Ans. is 'b' i.e., Connecting the lacrimal sac to nose by breaking the medial wall Dacryocystorhinostomy is the surgical procedure which involves removal of bone adjacent to lacrimal sac (medialwall) and incorporating the lacrimal sac with lateral nasal mucosa (at middle meatus) in order to bypass the obstruction in nasolacrimal duct. Advantage of dacryocystorhinostomy over dacryocystectomy is that there is no epiphora or watering of eyes posteoperatively. Indications of dacryocystorhinostomy are :- Congenital or acquired nasolacrimal duct obstruction. Functional obstruction to lacrimal outflow (e.g. lacrimal pump weakness) or facial nerve palsy. History of dacryocystitis Dacryocystorhinostomy can be done either open (external) approach or endonasal (endoscopic) approach.